Electron microscopy change in reversible cell injury is ?
1. Cell shrinkage
2. Plasma membrane blebbing
3. fatty change
4. Fragmentation

Correct answer: 2. Plasma membrane blebbing

Explanation: Answer- B. Plasma membrane blebbingThe ultrastructural charges (seen on electron microscopy) are :-Plasma membrane altetations - Blebbing blunting loss of microvill.Mitochonhial changes - Swelling, small amorphous densities.Dilatation of ER and detachment of ribosomeNuclear alterations